Which of the following hormones are raised in Prader–Willi syndrome –
1. Growth Hormone (GH)
2. Leutinizing Hormone (LH)
3. Follicle Stimulating Hormone (FSH)
4. Ghrelin

Correct answer: 4. Ghrelin

Explanation: Prader Willi Syndrome is associated with elevated circulating levels of Ghrelin.

Prader Willi Syndrome

Hypotonia (severe hypotonia with poor suck and failure to thrive in early infancy)
Hyperphagia and Obesity (may be related to elevated Ghrelin levels)
Hypogonadotrophic Hypogonadism (↓GnRH; LFSH↓; ↓LH)
Genital Hypoplasia (small penis, hypoplastic scrotum and cryptorchidism) in males.
Genital Hypoplasia (small labia minora and clitoris) in females.
Pubertal insufficiency.
Short stature (↓GH levels)
Cognitive impairment (usually mild intellectual disability) and distinctive behavioral phenotype such as temper tantrums & obsessive compulsive behavior.
Characteristic facial appearance includes narrow bifrontal diameter, 'almond' shapped palpebral fissure and a down turned mouth with a thin upper lip.